Severe myopathy commonly is a side effect of
1. Rosuvastatin
2. Nicotinic acid
3. Ezetimibe
4. Colesevelam

Correct answer: 1. Rosuvastatin